Side effect of salmeterol is-
1. Tremor
2. Seizure
3. Hypertension
4. Hyperkalaemia

Correct answer: 1. Tremor

Explanation: Ans. is 'a' i.e., 'tremor orT Tremor and palpitations are most common side effects.